Missing cases are detected by -
1. Active surveillance
2. Passive surveillance
3. Sentinel surveillance
4. Prevalence rate

Correct answer: 3. Sentinel surveillance

Explanation: Ans. is 'c' i.e., Sentinel surveillance Surveillance Surveillance is defined as "the continous scrutiny of the factors that determine the occurrence and distribution of disease and other conditions of ill health". Surveillance may be of following types :? 1) Passive surveillance Data is reported itself to health system, e.g. a patient (clinical case) is coming to a doctor. Most of the national health programmes in India rely on passive surveillance for data collection. 2) Active surveillance Data is collected actively by health system, e.g. collection of blood slides every fortnight from house to house to control malaria. Active surveillance in India is done in :? i) National leprosy elimination programme (modified leprosy elimination compaigns). ii) National vector Borne disease control programme (NVBDCP) e.g. malaria. 3) Sentinel surveillance Sentinel surveillance helps in identifying missing cases and supplementing notified cases. Sentinel surveillance in India is done in national AIDS control programme.